Thoracic duct is also called as
1. Hensen's duct
2. Bernard's duct
3. Pecquet duct
4. Hoffman's duct

Correct answer: 3. Pecquet duct

Explanation: Thoracic duct- pecquet duct.Hensen's duct : A short membranous tube passing from the lower end of the saccule to the cochlear duct of the membranous labyrinth.Bernard's duct- Accessory pancreatic duct.Hoffman's duct- pancreatic duct.